Which of the following parasite does not enter into the body by skin penetration -
1. Dracunculus
2. Necatar americanus
3. Ancylostoma duodenale
4. Stronglyoides

Correct answer: 1. Dracunculus

Explanation: Human becomes infected by drinking unfiltered water containing infective cyclops The third stage larvae is infective form and is present in the haemocoele of these infected cyclops. When infective cyclops are digested by gastric acidity and the larvae are released (refer pgno:175 baveja 3 rd edition)